If one variable is given then you can find another variable by
1. Coefficient of variation
2. Coefficient of correlation
3. coefficient of regression
4. coefficient of determination

Correct answer: 3. coefficient of regression

Explanation: Regression Analysis *Regression analysis is a mathematical model to describe the effect of 21 Independent variable on a dependent variable *Linear regression describes effect of one independent variable on a dependent variable *Multiple linear regression describes effect A too or more independent variable on a dependent variable *Non linear regression involves more complex mathematical form including logarithmic functions *Logistic regression describes effects of multiple independent Qualitative Quantitative or mixed variable on dichotomous qualitative variable *Regression coefficient in average change in dependent amiable for each unit of independent variable ref: park 21st ed